All are structures passing between the base of skull and the superior constrictor except:
1. Glossopharyngeal nerve
2. Pharyngobasilar fascia
3. Eustachian tube
4. Levator veli palate

Correct answer: 1. Glossopharyngeal nerve

Explanation: Ans: a (Glossopharyngeal nerve) Ref: Chaurasia, 4th ed, vol 3p. 223 Fig. 14.18, p. 225"he structures passing between the superior constrictor and the base of skull (sinus of morgagni):A-L-A-Auditory tubeLevator veli palateAscending palatine artery"Auditory tube is about 3.6 cm long and is divided into an outer bony part which is 12 mm long and an inner cartilagenous part which is 24 mm long.The levator veli palati is attatched to its inferior surface.Ascending palatine artery is a branch of facial artery"Also note:Structures passing through the superior orbital fissureUpper part:Middle part:R/c meningeal branch of the ophthalmic arteryLacrimal nerveFrontal nerveSuperior ophthalmic veinTrochlear nerveLower part:Inferior ophthalmic veinOculomotor nerveNaso ciliary nerveAbducent nerveThe structures passing between superior and middle constrictors-StylopharyngeusGlossopharyngeal nerveBetween middle and inferior constrictors:Internal laryngeal nerve-Superior laryngeal vesselsBetween low er border of inferior constrictor and esophagusRecurrent laryngeal nerve} Pierces thyrohyoid membraneInferior laryngeal vessels